Pasteur developed the vaccine for
1. Anthrax
2. Rabies
3. Chicken cholera
4. All of the above

Correct answer: 4. All of the above

Explanation: Pasteur introduced an attenuated vaccine for chicken pox, cholera, anthrax and rabies. Development of vaccine for hydrophobic marked a milestone in the development of immunisation in medicine.